Type of movement seen from retruded contact position unto terminal hinge axis:
1. Hinge followed by gliding
2. Gliding followed by hinge
3. Only hinge movement
4. Only gliding movement

Correct answer: 3. Only hinge movement

Explanation: Movement from the retruded contact position unto terminal hinge axis is only hinge movement.